Polio virus infection can result in all except ?
1. Anterior horn cell damage
2. Autonomic involvement
3. respiratory involvement
4. Paralysis in > 70% of cases

Correct answer: 4. Paralysis in > 70% of cases

Explanation: Ans. is 'd' i.e., Paralysis in > 70 of cases o Poliovirus selectively damage motor and autonomic nervous system. o Most commonly affected areas are the anterior horn of the spinal cord, vestibular and cranial nerve nuclei and vital centres in the medulla and vermis, and nuclei in the roof of cerebellum. o When respiratory centers are involved the respiration becomes shallow and irregular. o Areas which are usually not affected White matter of spinal cord, Cerebellar hemisphere, Nonmotor part of cerebral cortex. o Paralytic polio is seen in less than 1% of polio infections.